Patient with MCV = 60, Hb - 5 gm % MCHC-=20 &PCV =32 %, causes of anemia in him can be -
1. Phenytoin
2. Blind loop syndrome
3. Hook worm infection
4. CRF

Correct answer: 3. Hook worm infection

Explanation: Here Hb is reduced ,MCV belw 80fl, MCHC is diminished (below 20g/dL). All this features correlates with iron deficiency anemia.From the above options the cause of iron deficiency is hook worm infestation .

Reference :Harsh mohan textbook of pathology sixth edition pg no 299.